In tandem cartridge, the number of bullets fired is
1. One bullet
2. Two bullets
3. Three bullets
4. Multiple bullets

Correct answer: 2. Two bullets

Explanation: Duplex or tandem cartridge: this is used in military rifles and contains two bullets which enter the target at different points, separated by as much as 30 cm. The base of the forward bullet is notched, into which the second bullet fits closely.